Seasonal trends is shown by -
1. Varicella
2. Polimyelitis
3. Malaria
4. All

Correct answer: 4. All

Explanation: Ans. All options are correct